Most common mode of treatment of a 1 year old child with asthma is
1. Inhaled short acting beta 2 agonist
2. Oral short acting theophylline
3. Oral ketotifen
4. Leukotriene agonist

Correct answer: 1. Inhaled short acting beta 2 agonist

Explanation: The pharmacological therapy of bronchial asthma involves use of drugs that relax smooth muscle and dilates the airways and drugs that decrease inflammation and there by prevent exacerbations. The commonly used bronchodilators are adrenaline,terbutaline and salbutamol.Terbutaline and salbutamol are specific beta 2 agonists and therefore less cardiac side effects. Ref : Essential paediatrics,O.P.Ghai,7 th edition ,pg no:361